Which one of the following can provide 100 % oxygen?
1. Ventimask
2. Simple oxygen mask
3. Oxygen catheter
4. Anesthetic face mask

Correct answer: 4. Anesthetic face mask

Explanation: Anaesthesia face mask FEATURES These facemasks have a cuff that allows for a complete seal to be achieved between the mask and the patient's face. Anesthetic facemasks can therefore be used to deliver non-invasive ventilation (NIV). In order to ventilate with an anesthetic facemask you'll need a pressurized gas source (anesthesia gas supplies)such as a cylinder or gas wall supply. If no pressurized gas source is available, a self-inflating bag will allow for positive pressure-ventilation through an anesthetic facemask. The cuff volume can typically be adjusted through a valve. A somewhat under-inflated cuff usually achieves a better seal than a fully inflated one. Most manufacturers supply these masks with a detachable hook ring, which allows for the mask to be held in place with a head strap for delivering NIV. USES Anaesthetic facemasks are generally used in two different settings/ scenarios: 1. For bag-mask ventilation (BMV) in the OR or resuscitation setting. 2. To provide non-invasive ventilation (NIV) or respiratory support, most commonly as either continuous or biphasisc positive airway pressure (CPAP or BIPAP) in patients with respiratory compromise.